Lewy bodies are seen in:
1. Parkinsonism
2. Alzheimer's disease
3. Huntington chorea
4. All of above

Correct answer: 1. Parkinsonism

Explanation: Ans. (a) ParkinsonismRef: Harrison 19th ed. 12606* Lewy bodies are intra-neuronal inclusion bodies in Parkinsonism and in Dementia with lewy body (D.L.B).* Hirona bodies are seen in Alzheimers disease. The intra- neuronal inclusions in AD are known as neurofibrillary tangles.